A 45 year old man, known case of chronic renal failure develops rugger jersey spine. The probable cause is
1. Aluminium intoxication
2. Secondary hyperparathyroidism
3. Osteoporosis
4. Osteomalacia

Correct answer: 2. Secondary hyperparathyroidism

Explanation: Answer is B (Secondary Hyperparathyroidism): Rugger .Jersey Spine is characteristically found in secondary hyperparathyroidism (Renal osteodystrophy in CRF).